All are characteristics of 3rd nerve EXCEPT:
1. Carries parasympathetic nerve
2. Supplies inferior oblique
3. Enters orbit through the inferior orbital fissure
4. Causes miosis

Correct answer: 3. Enters orbit through the inferior orbital fissure

Explanation: Oculomotor nerve passes through superior (not inferior) orbital fissure to enter the orbit. It carries preganglionic parasympathetic fibers to supply muscles like sphincter pupillae which causes miosis. It also carries motor fibers to supply eyeball muscles like inferior oblique except superior oblique (by trochlear nerve) and lateral rectus (by Abducens Nerve)